Drug used in remodeling of heart in congestive cardiac failure are all EXCEPT:
1. Beta blocker
2. ACE inhibitor
3. Digoxin
4. Aldosterone antagonist

Correct answer: 3. Digoxin

Explanation: Digoxin REF: Med Essentials: High-Yield USMLE Step 1 Review - Page 254, Medifocus Guidebook On: Congestive Heart Failure by Medifocus.com, Medifocus.com Inc. Page 26 Drugs that can reverse or inhibit cardiac remodeling in heart failure are: Angiotensin-converting enzyme (ACE) inhibitors Beta-blockers Angiotensin receptor blockers Aldosterone antagonists